Which of the following to stimulate glucose utilization:
1. Insulin
2. Growth hormones
3. Corticosteroids
4. Glucagon

Correct answer: 1. Insulin

Explanation: (Insulin): Ref: 548-RS 7'h, 309-LPInsulin increases utilization of glucose for providing energy which takes place in muscle, liver and many other tissues. Insulin enhances glycolysis t because it induces the synthesis of key enzyme phosphofrnctokinase and also "pyruvate kinase" (511-RS)Biological effect of Insulin* | Glucose uptake* | Gluconeogenesis* | Glycogen synthesis* | Glycogenolysis* | Protein synthesis* | Lipolysis* | Fat synthesis* Altered gene expression